Laparoscopy is the diagnostic procedure of choice for:
1. Ca uterus
2. Ca cervix
3. Ca rectum
4. Endometriosis

Correct answer: 4. Endometriosis

Explanation: Ans. D: EndometriosisIndications for gynaecological laparoscopy include the following:Ovarian cysts and tumours.Removal of fibroids (Myomectomy).or destroying them (Myolysis)Infertility, lysis of adhesions.Infertility, checking the condition and patency of the fallopian tubes.Reproductive or tubal surgeryEndometriosisIntraperitonal HaemorrhagePolycystic OvariesPelvic infection (Pelvic Inflammatory disease)Egg collection for assisted reproductionSterilization (laparoscopic Sterilization)Severe period painDiagnosis and treatment of some uterine anomaliesPelvic floor and vaginal prolapseUrinary incontinence